HIV prevalence can be assessed by
1. Sentinel surveillance
2. Active surveillance
3. Passive surveillance
4. Register

Correct answer: 1. Sentinel surveillance

Explanation: HIV Surveillance: 1) HIV Sentinel surveillance 2) HIV Sero-surveillance 3) AIDS case surveillance 4) STD Surveillance 5) Behavioral surveillance and 6) Integration with surveillance of other diseases like tuberculosis, etc. Ref: Park's Textbook of Preventive and Social Medicine, 24th edition, Page no. 452